All of the following are calcium channelopathies, except
1. Episodic ataxia -1
2. Spinocerebellar ataxia -6
3. Familial hemiplegic migraine
4. Hypokalemic periodic paralysis

Correct answer: 1. Episodic ataxia -1

Explanation: Clinical characteristics. Episodic ataxia type 1 (EA1) is a potassium channelopathy characterized by constant myokymia and dramatic episodes of spastic contractions of the skeletal muscles of the head, arms, and legs with loss of both motor coordination and balance. EA1 may be associated with epilepsy. Ref Harrison20th edition pg 2234